RMP of the neuron is:
1. -700 V
2. - 7 V
3. -170 mV
4. -70 mV

Correct answer: 4. -70 mV

Explanation: Ans: D (- ve 70 mV) Ref: Ganong, 22nd ed, p. 55Resting membrane potential (RMP)It is the potential difference between inside and outside of the membrane of a cell at a resting state. RMP is maintained by K+ ion. The value for RMP varies for different kinds of tissues.RMP of various tissues are given belowRMP of neuron is: -70 mVRMP of cardiac muscle: --90 mVRMP of skeletal muscle: -90 mVRMP of smooth muscle: -50 mVNote:RMP is maintained by K+ ionRMP is close to isoelectric potential of Cl-Changes in the external K+ concentration affect the RMPChanges in the external Na+ concentration affect the action potential and not the RMP